All of the following statement are true regarding histological features of Hypersensitivity Pneumonitis, except:
1. Interstitial pneumonitis
2. Non-caseating granuloma
3. Eosinophilic abscess
4. Interstitial fibrosis

Correct answer: 3. Eosinophilic abscess

Explanation: Histologic changes are characteristically centered on bronchioles. They include: (1) Interstitial pneumonitis, consisting primarily of lymphocytes, plasma cells, and macrophages (eosinophils are rare); (2) Non-caseating granulomas in two thirds of patients and (3) Interstitial fibrosis with fibroblastic foci, honeycombing, and obliterative bronchiolitis (in late stages). In more than half of patients, there is also evidence of an intraalveolar infiltrate.